According to American diabetic association, which of the following indicates prediabetic condition?
1. Fasting plasma glucose - 100 to 125 mg/dl
2. 2-hour plasma glucose - 100 mg/dl
3. HbA1C > 6.5%
4. All of the above

Correct answer: 1. Fasting plasma glucose - 100 to 125 mg/dl

Explanation: Option B indicates normal person and option C indicates full-blown diabetic. American Diabetic Association criteria for diagnosing Diabetes Mellitus Normal Prediabetic Diabetic FPG <5.6 mmol/L 5.6-6.9 mmol/L (100-125 mg/dL) >= 7.0 mmol/L (126 mg/dL) 2-h PG (100 mg/dL) 7.8-11.0 mmol/L (140-199 mg/dL) >= 11.1 mmol/L (200 mg/dL HbA1C 3.8% - 5.7% 5.7-6.4% >= 6.5%